Most common complication of spinal anesthesia is
1. Hypotension
2. Headache
3. Meningitis
4. Arrythmia

Correct answer: 1. Hypotension

Explanation: A i.e. Hypotension